Hemoprosthetic group is found in -a) Myoglobinb) Cytochrome oxidasec) Xanthine oxidased) Tyrosine
1. ac
2. a
3. ab
4. bc

Correct answer: 3. ab